Vegetations below the AV valves are present in ?
1. Libman sach's endocarditis
2. Chronic rheumatic carditis
3. Acute rheumatic carditis
4. Non thrombotic endocarditis

Correct answer: 1. Libman sach's endocarditis

Explanation: Ans. is 'a' i.e., Libman sack endocarditis